All of the following are prion associated disease except:
1. Kuru
2. Creutzfeldt-Jacob disease
3. Alzheimer's disease
4. Scrapie

Correct answer: 3. Alzheimer's disease

Explanation: Ans. C. Alzheimer's diseasePrionsa. Infectious proteins that cause CNs degenerationb. Prion diseases are disorder of protein conformationc. Reproduce by binding to normal, cellular isoforms of prion protein (PrPc) & stimulating conversion of (PrPc) into disease causing isoform (PrPSc)d. (PrPc )-rich in alpha helixe. (PrPSc )- rich in beta structure.f. Properties: - -devoid of NA- Infectious, genetic or sporadic- Disease result with accumulation of (PrPSc)* PrP gene- PRNP, located on chromosome 20* Most patients present with de mentia and myoclonus* Prion diseases:i. Kuruii. Familial fatal insomniaiii. Transmissible Mink Encephalopathyiv. Creutzfeldt- Jacob disease (CJD)v. Gerstmann- Straussler- Scheinker diseasevi. Scrapievii. Bovine Spongiform Encephalopathy